Incubation period of Hepatitis A is –
1. 2 weeks – 2 months
2. 6 weeks – 6 months
3. 6 days – 6 weeks
4. 2 days – 2 weeks

Correct answer: 1. 2 weeks – 2 months